If head of the radius is removed, it will result in
1. Lengthening of limb
2. Valgus deformity
3. Varus deformity
4. No deformity

Correct answer: 2. Valgus deformity

Explanation: B i.e. Valgus deformity Classically the head of radius should not be excised in children because ? - It will interfere with the synchronous growth of radius and ulnar producing wrist & elbow deformity. - It leads to proximal radial migration & subluxation of inferior radio ulnar joINTEGER(2. - It causes weakness of extremity & discomfort in distal radio - ulnar joint with heavy activities - May produce cubitus valgus deformityQ and instability.